Efferent pathway for milk ejection reflex
1. Prolactin
2. Oxytocin
3. ACTH
4. Growth hormone

Correct answer: 2. Oxytocin

Explanation: Milk ejection reflex - a normal reflex in a lactating woman elicited by tactile stimulation of the nipple, resulting in release of milk from the glands of the breast. This reflex requires intact nerve connections from nipple to hypothalamus and release of the hormone oxytocin from the posterior pituitary into the bloodstream. Also called let-down reflex.Ref: Ganong's review of medical physiology; 24th edition; page no:-311